All of the following statements regarding scoline apnoea are true, EXCEPT:
1. It can be inherited
2. It is caused by scopolamine
3. In recent times with proper management, the mortality is very low
4. It is associated with deficiency of cholinesterase

Correct answer: 2. It is caused by scopolamine

Explanation: Scoline apnea is a fatal condition which can occur with an overdose of succinylcholine. It can also occur as a genetically transmitted disorder in individuals with plasma cholinesterase activity. These patients develop apnoea even after standard dose of succinylcholine. Succinylcholine is normally inactivated by cholinesterase and in deficiency of this enzyme, there is prolonged muscle relaxing effect and patients are at high risk of developing fatal apnoea. Deficiency of this enzyme can be detected by measuring serum cholinesterase level or by estimating dibucaine number. Causes of aquired cholinesterase deficiency includes overexposure to pesticides, organophosphates or nerve gas, chronic liver disease, malnutrition and hypoalbuminemia.